Which one of the following inhalational anesthetics is most likely to cause fluoride ion nephrotoxicity ?
1. Methoxyflurane
2. Enflurane
3. Halothane
4. Isoflurane

Correct answer: 1. Methoxyflurane

Explanation: Ans. is 'a' i.e., Methoxyflurane o Intrarenal metabolism of methoxyflurane and subsequent intrarenal production of fluoride ion is the significant cause of methoxyflurane renal toxicity.